NSAID lacking anti-inflammatory action is :
1. Paracetamol
2. Ibuprofen
3. Diclofenac sodium
4. Celecoxib

Correct answer: 1. Paracetamol